The left adrenal vein drains directly into which of the following veins?
1. Hemiazygos vein
2. Inferior vena cava
3. Left renal vein
4. Splenic vein

Correct answer: 3. Left renal vein

Explanation: In contrast, the right adrenal vein and right gonadal vein drain directly into the inferior vena cava. Ref ganong's review of medical physiology 25e